Which of the following occurs in epiphysis-a) Osteoclastomab) Chondroblastomac) Osteochondromad) Ewing's sarcomae) Chondrosarcoma
1. ac
2. ab
3. ad
4. bc

Correct answer: 2. ab

Explanation: Epiphvseal tumors : - Chondroblastoma, Giant cell tumor (osteoclastoma), Clear cell chondrosaroma.